Maintaining sick role by any means is a characteristic feature of:
1. Hypochondriasis
2. Somatization disorder
3. Conversion disorder
4. Factitious disorder

Correct answer: 4. Factitious disorder

Explanation: Factitious disorder - willful production of symptoms to get medical attention Factitious disorder differs from malingering in that it does not bring any external reward such as avoidance of military or other occupational duties, or financial compensation. The main aim is to gain attention There is no specific treatment. Supportive counselling is often offered, and helps some patients but many do not take up the treatment. Munchausen syndrome - is an extreme and uncommon form of factitious disorder, in which a patient gives a plausible and often dramatic history of an acute illness, with feigned symptoms and signs. It has a poor prognosis